Medusa head colonies are seen in
1. Bacillus anthracis
2. Bacillus cereus
3. C. parvum
4. C. difficile

Correct answer: 1. Bacillus anthracis

Explanation: Ans. (a) Bacillus anthracis